Effacement of foot processes is pathognomic OF which disease
1. minimal change disease
2. Stenoid resistant glomerulonephritis
3. Membranous glomerulonephritis
4. IgA nephropathy

Correct answer: 1. minimal change disease

Explanation: In minimal change disease histopathology is normal while electron microscopy is pathognromic which shows loss or effacement of podocyte foot processes REF : ROBBINS 10TH ED